Hemophilus influenzae requres:
1. Factor V
2. Factor X
3. Factor V & X
4. Factor VII

Correct answer: 3. Factor V & X

Explanation: Ans. is. 'c' i. e., Factor V & X